If the grading of diabetes is classified as "mild", "moderate" and "severe" the scale of measurement used is -
1. interval
2. Nominal
3. Ordinal
4. Ratio

Correct answer: 3. Ordinal

Explanation: Scales can be: Qualitative: Categorical scales: Nominal : eg: names of countries . Dichotomous : eg: yes/no, presence/absence. Ordinal : severity of disease: mild/moderate/severe.eg: staging of cancer, kuppusamy socioeconomic class. Quantitative: Metric scales: Interval Ratio